Nerve supply to the muscles of flexor compartment of arm
1. Radial nerve
2. Median nerve
3. Musculocutaneous nerve
4. Ulnar nerve

Correct answer: 3. Musculocutaneous nerve

Explanation: MUSCULOCUTANEOUS NERVE:- Nerve of front of arm. Arises from lateral cord of brachial plexus in the axilla. Runs downwards and laterally, pierces the corcobrachialis, which it supplies, then passes between biceps and brachialis. Descends over the lateral aspect of forearm as lateral cutaneous nerve of forearm. Branches:- 1. Muscular:- biceps brachii, coracobrachialis and brachialis. 2. Cutaneous- lateral cutaneous nerve of forearm. 3. Articular branch-elbow joint. {Reference: vishram singh, pg no. 108}